Characteristics of an ideal candidate for Copper-T insertion include all of the following except:
1. Has borne at least one child
2. Is willing to check IUD tail
3. Has a history of ectopic pregnancy
4. Has normal menstrual periods

Correct answer: 3. Has a history of ectopic pregnancy

Explanation: Ans. is 'c' i.e., Has a history of ectopic pregnancy The Planned Parenthood federation of America has described ideal IUD candidate as a woman.Who has no history of pelvic disease Who has borne at least one child Has normal menstrual periods Is willing to check IUCD tailHas access to follow up and t/t of potential problems.Is in a monogamous relationship.Also know * Absolute contraindications of I.U.C.D.*Suspected pregnancy - P1DVaginal bleeding of undiagnosed etiology Pelvic cancerPrevious ectopic pregnancy